Rivastigmine and Donepezil are drugs used predominantly in the management of which of the following conditions?
1. Depression
2. Dissociation
3. Delusions
4. Dementia

Correct answer: 4. Dementia

Explanation: In Alzheimer's disease the most common cause of dementia, there is a reduction in the activity of acetylcholine within the brain due to loss of cholinergic activity within the brain due to loss of cholinergic neurons in the nucleus basalis of Meyne . Both Rivastigmine and Donepezil are cholinesterase inhibitors used in the management of dementia. These drugs reduce the degeneration of acetylcholine by inhibiting the enzyme Acetyl cholinesterase.Ref: Alzheimer's Disease And Dementia in Down Syndrome And Intellectual Disabilities By Vee P. Prasher page 85.